Skeletal traction is given by -a) K-wireb) Pavlik harnessc) Denham pind) Steinmann's pine)  Rush pin
1. abc
2. ad
3. acd
4. bde

Correct answer: 3. acd

Explanation: Contraindications of skin traction 

Skin damage or sepsis in the area.
Deep vein thrombosis
Suspected vascular defecit
Anaesthetic limb (neurological deficit).
Force required is > 5 kg & for long duration due to changes of peeling off of skin.
In small abrasions it can be applied with proper padding but large abrasions are relative contraindications